Which of the following nerves are affected after spinal anaesthetic block –
1. Motor and sensory only
2. Sensory and autonomic nerve only
3. Sensory nerves only
4. Sensory, autonomic and motor nerves

Correct answer: 4. Sensory, autonomic and motor nerves

Explanation: Local anesthetics block generation and conduction of nerve impulse at all part of neuron where they come in contact, without causing structural damage. Thus not only sensory but motor impulses and autonomic control is also interrupted.